Which of the following muscle is known as safety muscle of larynx?
1. Cricothyroid
2. Thyroarytenoid
3. Lateral cricoarytenoid
4. Posterior cricoarytenoid

Correct answer: 4. Posterior cricoarytenoid

Explanation: Posterior cricoarytenoid is known as safety muscle of larynx. It is so called because being the only abductor of the vocal cords it keeps the rima glottis open to allow air to enter the lungs. Adductors of vocal cord are: Cricothyroid Thyroarytenoids Lateral cricoarytenoid Transverse arytenoids Relaxant of vocal cords: Vocalis Thyroarytenoid